False about biliary cystadenoma
1. CT scan is used for diagnosis
2. CA 19-9 is elevated
3. Intra hepatic location
4. Common in males

Correct answer: 4. Common in males

Explanation: Biliary cystic adenocarcinoma Incidence : Female : Male is 2:1. It is more common in females Ref: Sabiston 20th edition Pgno :1469